Bicarbonate is maximally absorbed in
1. PCT
2. DCT
3. Thick ascending loop of Henle
4. Collecting duct

Correct answer: 1. PCT

Explanation: Hco3 is absorbed in th PCT. Ref: guyton and hall textbook of medical physiology 12 edition page number:475,476,477